Couvelaire uterus present in:
1. Placenta praevia
2. Abruptio placentae
3. Vas praevia
4. All of the above

Correct answer: 2. Abruptio placentae

Explanation: (Abruptio placentae) (256-Dutta 6th)COUVELAIRE UTERUS (Utero-placental apolexy) is met with in association with sever form of concealed abruptio placentae. There is massive intravasation of blood in the uterine musculature upto the serous coat.* The condition can only be diagnosed on laparotomy."Thus, the presence of couvelaire uterus as observed during caesarean section is not an indication per se for hysterectomy"